Chronic viral hepatitis is seen with all of the following viruses, except?
1. HBV
2. HCV
3. HDV
4. HEV

Correct answer: 4. HEV

Explanation: Chronic hepatitis is defined as symptomatic, biochemical, or serologic evidence of continuing or relapsing hepatic disease for more than 6 months. Etiology rather than the histologic pattern is the most important determinant of the probability of developing progressive chronic hepatitis. Chronic viral hepatitis is seen in HBV, HCV, HDV. Hepatitis A virus (HAV) infection is a self-limited disease and does not lead to chronic hepatitis or a carrier state. HAV and HEV (in immunocompetent hosts) do not cause chronic hepatitis.